Which of the following is the drug of choice for treatment of peptic ulcer disease ?
1. Omeprazole
2. Pirenzepine
3. Ranitidine
4. Sucralfate

Correct answer: 1. Omeprazole

Explanation: Ans. is 'a' i.e., Omeprazole o PPI are the DOC for peptic ulcer (gastric or duodenal), GERD, ZE syndrome, prevention of aspiratory pneumonia and NSAID induced gastric / duodenal ulcers. Note - PGE1 analogue (Misoprostol) is specific drug for prevention and treatment of NSAID induced ulcer, but DOC is PPI.